A child suffers from trauma which causes lateral luxation
of the primary central incisor. The incisor is not in 
occlusion and does not cause interference. What should be done?
1. The incisor should be allowed for passive and spontaneous reposition itself
2. Immediate reposition and splinting
3. Reduce the opposite tooth
4. Reduce both the affected and the opposite tooth

Correct answer: 1. The incisor should be allowed for passive and spontaneous reposition itself